Arrange the cyclins and CDKs in cell cycle from G1 to S checkpoint. a) CDK6/ Cyclin E b) CDK4/ Cyclin D c) CDK 1 / Cyclin B d) CDK2/ Cyclin A
1. b,a,d,c
2. c,a,d,b
3. a,b,d,c
4. a,d,b,c

Correct answer: 1. b,a,d,c

Explanation: Cyclins D, E, A, and B appear sequentially during the cell cycle and bind to one or more CDKs.